Spanish windlass is practiced in Spain as a method of execution, it is a type of:
1. Bansdola
2. Mugging
3. Garrotting
4. Hanging

Correct answer: 3. Garrotting

Explanation: C i.e. Garrotting Spanish windlass is a type of garrottingQ. It used to be the official mode of execution in Spain. In this an iron collar around the neck was tightened by a screw for strangling.